Dose of methotrexate for treatment of rheumatoid arthritis is ?
1. 7.5 - 15 mg/ week
2. 2.5 - 5 mg/ week
3. 7.5 - 15 mg/ month
4. 2.5 - 5 mg/ month

Correct answer: 1. 7.5 - 15 mg/ week

Explanation: Ans. is'a' i.e., 7.5 - 15 mg/ weekMethotrexate (Mtx) for rheumatoid arthritis:Induction of oral low-dose (7.5-15 mg) weekly Mk regimen has improved acceptability of this drug in RA.